The best tissue tolerated material for crown and bridge:
1. Highly polished porcelain
2. Highly polished acrylic
3. Highly glazed porcelain
4. Highly polished metal

Correct answer: 3. Highly glazed porcelain